FeCl3 test is used in diagnosis of:
1. Hydrochloric acid
2. Acetic acid
3. Alcohol
4. Phenol

Correct answer: 4. Phenol

Explanation: Ans. Phenol